Incineration is done for which of the following:
1. Liquid waste
2. Anatomy waste
3. Sharp waste
4. All of the above

Correct answer: 2. Anatomy waste

Explanation: Ans. B: Anatomy waste Medical waste incinerators (MWIs) burn hospital waste particularly anatomy waste and amputated limbs,animal carcasses. Liquid waste is treated with disinfectants/reagents and neutralized before flushing into the sewer. Sharp waste can be disposed by deep burial if land is available